A patient presented with complaints of ipsilateral flushing and sweating with eating and salivation. He had a parotid gland surgery few weeks ago. Frey's syndrome is diagnosed. Frey's syndrome is related to:
1. Auriculotemporal nerve
2. Facial nerve
3. Abducens nerve
4. Glossopharyngeal nerve

Correct answer: 1. Auriculotemporal nerve

Explanation: Frey syndrome: Aberrant nerve regeneration after parotid gland injury or surgery may result in ipsilateral flushing and sweating with eating and salivation. Sweating occurs in the distribution of the auriculotemporal nerve after an injury, abscess, or surgery in the parotid region. Freys syndrome can be seen in infants and children, often following birth trauma with forcep delivery.